Commonest organ injured in blast injury is
1. Lung
2. Liver
3. Spleen
4. Pancreas

Correct answer: 1. Lung

Explanation: Ans. is 'a' i.e. Lung The structures injured by the primary blast wave, in order of prevalence, are the middle ear, the lungs and the bowel" - Love & BaileyThe hollow organs containing gas or air are most readily damaged by blast waves. The homogenous tissues like liver and muscle are least likely injured.In underwater blast, injuries occur mostly in gastrointestinal tract and less commonly in lungs.The lung injury can introduce air into the circulatory system. Death may occur from systemic air embolism.Tympanic membrane rupture is a sensitive marker for primary blast injury.